Which of the following helps in eruption of tooth
1. CSF 1
2. TGF beta 1
3. PTH RP
4. All of the above

Correct answer: 4. All of the above